A young girl presents with repeated episodes of throbbing occipital headache associated with ataxia and vertigo. The family history is positive for similar headaches in her mother. Most likely diagnosis is
1. Vestibular Neuronitis
2. Basilar migraine
3. Cluster headache
4. Tension headache

Correct answer: 2. Basilar migraine

Explanation: basilar migraine is a rare type of migraine that begins in the brain stem. A basilar migraine may be caused by a constriction of blood vessels that limit blood flow to the brain. Other conditions that restrict blood flow, such as tortuous blood vessels, may also cause basilar migraines Ref Harrison20th edition pg 2345